The length of the eyeball is –
1. 12mm
2. 16 mm
3. 20mm
4. 24 mm

Correct answer: 4. 24 mm

Explanation: The length of the eyeball is approximately 24 mm, So the distances from the cornea / crystalline lens to the retina and the focal length of optical rays focused by the cornea/crystalline lens propagating in the vitreous humor and imaging on the retina, are also about 24 mm.